For a survey, some schools were selected randomly from which classes were selected randomly and then sections were selected randomly and from which students were selected randomly, which type of sampling method is this
1. Simple random
2. Cluster sampling
3. Stratified sampling
4. Multistage sampling

Correct answer: 4. Multistage sampling